Which of the following is not true about Brugada syndrome
1. SCN5A defect
2. Asymptomatic ST segment elevation
3. Sudden death
4. Pacemaker is the treatment of choice

Correct answer: 4. Pacemaker is the treatment of choice

Explanation: Brugada syndrome (BrS) is a genetic disorder in which the electrical activity within the heart is abnormal. It increases the risk of abnormal heart rhythms and sudden cardiac death. Diagnosis is typically by electrocardiogram (ECG), however, the abnormalities may not be consistently present. About a quarter of those with Brugada syndrome have a family member who also has the condition.Some cases may be due to a new genetic mutation or certain medications. The most commonly involved gene is SCN5A which encodes the cardiac sodium channel.Diagnosis is typically by electrocardiogram (ECG), however, the abnormalities may not be consistently present.Medications such as ajmaline may be used to reveal the ECG changes.Similar ECG patterns may be seen in certain electrolyte disturbances or when the blood supply to the heart has been reduced. There is no cure for Brugada syndrome.Those at higher risk of sudden cardiac death may be treated using an implantable cardioverter defibrillator (ICD) In those without symptoms the risk of death is much lower, and how to treat this group is less clear. Isoproterenol may be used in the short term for those who have frequent life-threatening abnormal heart rhythms, while quinidine may be used longer term.Testing people's family members may be recommended While many of those with Brugada syndrome do not have any symptoms, Brugada syndrome may cause fainting or sudden cardiac death due to serious abnormal heart rhythms such as ventricular fibrillation or polymorphic ventricular tachycardia.Blackouts may be caused by brief abnormal heart rhythms that revert to a normal rhythm spontaneously. If a dangerous heart rhythm does not stop by itself and is left untreated, the person may have a fatal cardiac arrest. However, blackouts can occur in those with Brugada syndrome despite a normal heart rhythm due to a sudden drop in blood pressure, known as vasovagal syncope. The abnormal heart rhythms seen in Brugada syndrome often occur at rest, following a heavy meal, or even during sleep.These situations are linked to periods when the vagus nerve is activated, referred to as periods of high vagal tone. Abnormal heart rhythms may also occur during fever or following excessive alcohol. Certain medications may also worsen the tendency to abnormal heart rhythms in patients with Brugada syndrome and should be avoided by these patients. Ref Davidson 23rd edition pg 440